The most common coagulation disorders haemophilia A and Von WilLebrand's disease are due to
1. Factor IX deficiency
2. Vitamin K deficiency
3. Factor X deficiency
4. Factor VIII deficiency

Correct answer: 4. Factor VIII deficiency